In normal delivery, breast feeding should be started –
1. 1/2 hour after delivary
2. 2 hour after delivary
3. 4 hour after delivary
4. 6 hour after delivary

Correct answer: 1. 1/2 hour after delivary

Explanation: Breast feeding should be initiated within 30 min. of a normal vaginal delivery.
Breast feeding should be initiated within 4 hrs of delivery by caesarian section.